Which of the following is not a component of Jones criteria for diagnosing acute rheumatic fever:
1. Pancarditis
2. Migratory polyarthritis
3. Erythema nodosum
4. Sydenham chorea

Correct answer: 3. Erythema nodosum

Explanation: Ans. C: Erythema nodosum